Poorest prognosis in AML is seen in which cyiogcnetic abnormality-
1. Monosomy 7
2. No cytogenetic abnormality
3. t(l5,i7)
4. inv, 16

Correct answer: 1. Monosomy 7

Explanation: Monosomy 7 or partial deletion of the long arm of chromosome 7 (7q-) is a frequent cytogenetic finding in the bone marrow of patients with myelodysplasia (MDS) and acute myelogenous leukemia (AML) Ref Davidson 23rd edition pg 789